Route of choice for analgesics in cancer patients
1. Oral
2. IV
3. Topical
4. Sublingual

Correct answer: 1. Oral